Umbilical cord has
1. 2 veins and 1 artery
2. 1 artery and 1 vein
3. 2 arteries and 1 vein
4. 2 arteries and 2 veins

Correct answer: 3. 2 arteries and 1 vein

Explanation: This tube of amnion and the structures within it constitutes the umbilical cord.T his cord contains two umbilical arteries and one umbilical vein. REF HUMAN EMBRYOLOGY; Inderbier singh; Tenth edition; Page 67